The Hb level in healthy women has mean 13.5 g/dl and standard deviation 1.5 g/dl, what is the Z score for a woman with Hb level 15.0 g/dl:
1. 9
2. 10
3. 2
4. 1

Correct answer: 4. 1

Explanation: The value (15g/dl) lies 1 SD (1.5g/dl) above the mean of 13.5g/dl. Hence the Z score is 1. Ref : Park's Textbook of Preventive medicine